Which of the following does not form Waldeyer's ring?
1. Palatine Tonsils
2. Adenoids
3. jugulodigastric node
4. Lateral pharyngeal bands

Correct answer: 3. jugulodigastric node

Explanation: Ans-CRef: Diseases of Ear, Nose & Thr oat. by Dhingra 5th edition. Chapter on diseases of pharynxExplanation:Waideyer's ringIt is formed by aggregated collections of lymphoid tissues distributed in the pharyngeal mucosa.It is formed by:AdenoidsPalatine tonsilsLingual tonsilsTubal tonsils in the fossa of RossenmullerLateral pharyngeal bandsNodules in the posterior pharyngeal wall